Death caused by medical negligence is under which IPC -
1. 304A IPC
2. 351 IPC
3. 312 IPC
4. None

Correct answer: 1. 304A IPC

Explanation: Death of medical negligence is dealt within 304- A IPC. It states that whoever causes the death of any person by doing any rash or negligent act not amounting to culpable homicide, shall be punished with imprisonment up to two years, or with fine, or with both. REF: Dr K. S. Narayan Reddys Synopsis of Forensic Medicine & Toxicology 29th edition pg. 23.